Mucosal candidiasis is caused by
1. Candida albicans
2. Candida tropicalis
3. Candida guilliermondi
4. Candida krusei

Correct answer: 1. Candida albicans

Explanation: (A) Candida albicans # Mucosal Candidiasis> Candidosis describes a group of yeastlike fungal infections involving the skin and mucous membranes.> Infection is caused by Candida species, typically, Candida albicans.> Acute pseudomembranous candidiasis (thrush)> Thrush may be observed in healthy neonates or in persons in whom antibiotics, corticosteroids, or xerostomia disturb the oral microflora.> Oropharyngeal thrush occasionally complicates the use of corticosteroid inhalers.> Immune defects, especially HIV infection, immunosuppressive treatment, leukemias, lymphomas, cancer, and diabetes, may predispose patients to candidal infection.